The distinguishing characteristic of a positive delayed-type hypersensitivity skin test is
1. Erythema
2. Necrosis
3. Induration
4. Vasculitis

Correct answer: 3. Induration